True about MHC:
1. Transplantation reaction
2. Autoimmune disease
3. Involved in T-cell function
4. All

Correct answer: 4. All

Explanation: A i.e. Transplantation reaction; B i.e. Autommune disease; C i.e. Involved in T -Cell function